Advantage of cohort study ?
1. Involves fewer number of subjects
2. Inexpensive
3. Suitable for rare disease
4. More than one outcomes can be studied

Correct answer: 4. More than one outcomes can be studied

Explanation: Ans. is 'd' i.e., More than one outcomes can be studied